Antibiotic of choice for lymphedema is ?
1. Penicillin
2. Amikacin
3. Metronidazole
4. Ceftazidime

Correct answer: 1. Penicillin

Explanation: Lymphoedema Accumulation of fluid in extracellular and extravascular fluid compartment , commonly in subcutaneous tissue. Classification: 1. Primary - without any identifiable disease. 2. Secondary- acquired due to definitive cause. Primary lymphoedema:- Affects commonly females. Common in lower limb and left side. It can be familial , syndromic ( Turners , Klinefelter's , Down's, Klipple Trenauy weber) It can be 1. Lymphoedema congenital : present at birth (<2yrs). Familial type is called Nonne- Milroy disease. 2. Lymphoedema praecox- present at puberty (2-35 years). Familial type is called Letessier- Meige's syndrome. 3. Lymphoedema tarda- present in adult life after 35 years. Complications: Skin thickening, abscess, maggot formation. Recurrent cellulitis Lymphangiosarcoma Recurrent streptococcal infection. Conservative treatment:- 1. Elevation of limb, exercise , weight reduction. 2. Static isometric activities like prolonged standing or weight lifting should be avoided. 3. Diuretics to reduce edema. 4. Daily wearing of below knee stockings. 5. Daily wearing of below knee stockings. 6. Intermittent pneumatic compression devices. 7. Antibiotics- flucloxacillin, erythromycin, long acting penicillin. 8. Skin care. 9. Complex decongestive therapy {Reference: SRB's manual of surgery, 5th edition , page no. 247}